Laryngocole arise as herniation of lorry regal mucosa through following membrane
1. Thyrohyoid
2. Cricothyroid
3. Cricotracheal
4. Cricosternal

Correct answer: 1. Thyrohyoid